Which of the following anaesthetic agent has highest MAC (Minimum Alveolar Concentration)
1. Nitrous oxide
2. Xenon
3. Desfluane
4. Ether

Correct answer: 1. Nitrous oxide

Explanation: MAC is the minimum alveolar concentration of on inhaled anesthetic required to prevent movements in 50% of patients in response to a standardized stimulus. N2O has highest MAC 104 Methoxyflurane has lowest MAC Comparing MAC of different agents we can get an idea of there potency. High MAC low potency Low MAC high potency